A women treated with lithium during pregnancy the fetus should be tested for:
1. Neural tube defects
2. Cardiac malformations
3. Urogenital abnormalities
4. Scalp defects

Correct answer: 2. Cardiac malformations

Explanation: Ref: Katzung 14th ed *Lithium it taken during pregnancy can cause Ebstein's anomaly in the fetus, Which is a congenital heart disease presenting as tricuspid atresia.